'Snow ball' opacities near the ora-serrata are pathognomonic of:
1. Fungal endophthalmitis
2. Pars planitis
3. Diabetic retinopathy
4. Anterior choroiditis

Correct answer: 2. Pars planitis

Explanation: Ans. Pars planitis